Michaelis Gutmann bodies are seen in
1. Brucellosis
2. Melioidosis
3. Tularemia
4. Malakoplakia

Correct answer: 4. Malakoplakia

Explanation: Michaelis guttman bodies (malacoplakia) # Chronic granulomatous infection as a result of the inability of macrophages to kill phagocytosed E. coli. # Most commonly affects immunosuppressed(BMT> HIV/AIDS) # Most commonly affects GU tract; may affect skin of perianal/genital region (ulcerated abscesses and soft polypoid lesions) Histology:- Dense granulomatous infiltrate comprised of von Hansemann cells (large macrophages w/ eosinophilic cytoplasm) containing Michaelis Gutmann bodies (round, laminated, calcified basophilic intracytoplasmic inclusions; comprised of incompletely killed bacteria within calcified phagolysosomes; stain w/ von Kossa, PAS, Perls, Giemsa). Treatment:- * Localized: surgical excision * Nonsurgical candidates: difficult to treat; may try long courses of ciprofloxacin, TMP/SMX, or clofazimine. Ref:- Review of Dermatology by Alikhan pg num:-298